Declaration of Lisbon is related to
1. Right of doctor
2. Right of patient
3. Doctor-Patient relationship
4. None of the above

Correct answer: 2. Right of patient